On external examination the classical presentation of the body of traumatic asphyxia is?
1. Facial abrasions
2. Contused chest
3. Masque ecchymotique
4. Depressed chest

Correct answer: 3. Masque ecchymotique

Explanation: Ans. is 'c' i.e., Masque ecchymotique The characteristic external findings in case of traumatic asphyxia are : i) Mosque ecchymotique refers to the classical appearance of ? Florid red or blue congestion of face and neck with variable involvement of the upper thorax, back and arms. Deep cyanosis of face. Numerous petechial hemorrhages or ecchymotique. Demarcation line : Level of compression is indicated by a well-defined demarcating line between the discolored upper portion of body and the lower normal part. ii) Areas of pallor seen at the level of collar of shirts, folds or creases in the garments. iii) Facial edema. iv) External blunt trauma injuries can be seen on the head, neck and chest along with most or other foreign material.